Which of the following drug used against bronchial asthma follows zero order kinetics
1. Salbutamol
2. Phenytoin
3. Tiotropium
4. Theophylline

Correct answer: 4. Theophylline

Explanation: Theophylline follows zero order kinetics, which is used against bronchial asthma.